Which of the following is associated with bad prognosis :
1. Catatonic schizophrenia
2. Hebephrenic schizophrenia
3. Paranoid schizophrenia
4. Undifferentiated

Correct answer: 2. Hebephrenic schizophrenia

Explanation: B. i.e. HebephrenicParanoid- It is the commonestQ type.- It has later age of onset & better prognosis than other typesQ (oxford). The onset is insidious, occus late in life (late 3,5 & early 4thdecade). The course is usually progressive & complete recovery usually does not occur. There may be frequent remissions & relapses. (Ahuja). Characterized by presence of delusions (usually well systematized) & hallucinations of persecution, reference,grandeur, control, or infidelity (or jealousy)Q. So patient is typically tense, suspicious, guarded, reserved, hostile or aggressive. but can conduct themselves adequately in social situations. Personality is relatively well reservedQ. And patients lack (or have no prominent disturbance of) mental faculties, emotional response, behaviour,thought catatonic, negative or affective symptoms., speech, and personality. Which means disorganized speech, catatonic behaviour & flat or inappropriate affect is absent or less prominent. Amphetamine causes similar syndromeQ. Hebephrenic (Disorganized) 2rd most common type The onset is insidious usually in early 2^,1 decadeQ (Ahuja) / before 25 years (Kaplan). The course is progressive & severely deteriorating without significant remissions and with classically poor recovery. It has one of the worst prognosisQ (Ahuja). Negative symptoms occur early & contribute to a poor prognosisQ (oxford) . Characterized by disorganized inappropriate behaviour, speech, thought, & emotion or affect. This results in disheveled personal appearance, inappropriate social behaviour & emotional response (eg incongruous grinning, grimacing, mannerism & senseless giggling and mirror gazing)Q. best described as silly or fatuous.There is marked thought disorder Delusions & hallucinations are fleeting changeable, fragmentary and non? systematized.